A 2-month-old baby with severe jaundice also has dark-colored urine (deep yellow) and white clay-colored stool. Which of the following disorders might be suspected?
1. Esophageal stenosis
2. Annular pancreas
3. Hypertrophic pyloric stenosis
4. Extrahepatic biliary atresia

Correct answer: 4. Extrahepatic biliary atresia

Explanation: Following symptoms suggest obstructive jaundice i.e extra hepatic biliary atresia , which results from failure of the bile ducts to recanalize during development. This prevents bile from entering the duodenum.